Bullet is picked up with -
1. Toothed forceps
2. Hands
3. Scissors
4. Needle

Correct answer: 2. Hands

Explanation: Bullet should be removed with bare fingers (hand) or rubber tipped forceps. And toothed metal forceps should not be used